Which of the following is NOT an advantage of low molecular weight heparin over unfractionated heparin ?
1. Higher efficacy in arterial thrombosis
2. Less frequent dosing
3. Higher and more consistent subcutaneous bioavailability
4. Laboratory monitoring of response not required

Correct answer: 1. Higher efficacy in arterial thrombosis